Laparoscopic uterine nerve ablation (LUNA) is used most commonly in the treatment of-
1. Mild to mod Endometriotic lesions
2. Severe Vasomotor symptoms of menopause
3. Conservative management of Fibroids
4. Pain relief in Ca Ovary

Correct answer: 1. Mild to mod Endometriotic lesions

Explanation: Ablation of endometriotic lesions along with laparoscopic uterine nerve ablation (LUNA) in minimal to moderate disease reduces pain associated with endometriosis Ablation of endometriotic lesions plus adhesiolysis in minimal to mild endometriosis is more effective than diagnostic laparoscopy alone in improving fertility LUNA: involves the destruction of the uterine nerve fibres that exit the uterus through the uterosacral ligament. Important complication is devervation of pelvis and uterine prolapse PSN: Pre Sacral Neurectomy: interruption of sympathetic innervation of the uterus at the level of superior hypogastric plexus